All of the following are incinerated except:
1. Mercury
2. Radiological waste
3. Halogen containing plastics
4. All

Correct answer: 4. All

Explanation: Ans. is 'a' i.e. Mercury, 'b i.e. Radiological waste, 'c' i.e. Halogen containing plastics "Waste types not to be incinerated are: (a) pressurized gas container; (b) large amount of reactive chemical wastes; (c) silver salts and photographic or radiographic wastes; (d) Halogenated plastics such as PVC; (e) waste with high mercury or cadmium content, such as broken thermometers, used batteries, and lead-lined wooden panels; and (1) sealed ampules or ampules containing heavy metals"